A right-sided disc herniation at the L5-S1 level typically may cause:
1. Low back pain and right sciatica
2. Weakness of dorsiflexion of the right foot
3. A preserved right ankle jerk
4. Diminution of sensation over the medial aspect of the right foot, including the great toe

Correct answer: 1. Low back pain and right sciatica

Explanation: A lumbar disc herniation at the L5-S1 or L4-L5 level typically causes low back pain and ipsilateral sciatica. If a ruptured L5-S1 disc causes weakness, it ordinarily involves plantar flexion of the ipsilateral foot. Although a diminished or absent ankle jerk can be caused by either an L5-S1 or an L4-L5 disc herniation, it is more common with the former. The L5-S1 disc herniation ordinarily affects the S1 nerve root, which supplies the lateral aspect of the foot, including the small toe.